BCG should be given:
1. Immediately after birth
2. At the age of 1 month
3. At the age of 6 months
4. At the age of 1 year

Correct answer: 1. Immediately after birth

Explanation: Ans. A: Immediately after birth Bacillus Calmette-Guerin/BCG is a vaccine against tuberculosis that is prepared from a strain of the attenuated (weakened) live bovine tuberculosis bacillus, Mycobacterium bovis, that has lost its virulence in humans by being specially cultured in an artificial medium for years. The bacilli have retained enough strong antigenicity to become a somewhat effective vaccine for the prevention of human tuberculosis. It should be given at birth. If missed at birth, it should be given at 6 weeks as per Indian National Immunization Schedule.